Mouth opening is considered to be restricted when the distance is
1. Less than 40 mm
2. Less than 50 mm
3. Less than 53 mm
4. Less than 58 mm

Correct answer: 1. Less than 40 mm